In morbus caeruleus foramen ovale closes after -
1. 6 months
2. 2 years
3. 1 year
4. Never

Correct answer: 4. Never

Explanation: Ans. is 'd' i.e., NeverIn few cases foramen ovale remains patent throughout life give rise to cyanosis, a condition called morbus caeruleus.